Commonest site of nasopharyngeal carcinoma is:
1. Roof
2. Posterior
3. Lateral wall
4. Anterior wall

Correct answer: 3. Lateral wall

Explanation: The lateral walls include the eustachian tube, the torus tubarius, and the fossa of Rosenmuller. The most common site of origin for nasopharyngeal carcinoma is the fossa of Rosenmuller.